Anti DNAase-B is used for diagnosis of -
1. Staphylococcus
2. Streptococcus
3. Corynebacterium
4. Neisseria

Correct answer: 2. Streptococcus